Normal gastric juice contains all except
1. Na+
2. K+
3. Ca++
4. Mg++

Correct answer: 3. Ca++

Explanation: Contents of gastric juice
-        Cations

Na+
K+
Mg+2
H+

-        Anions

Cl-
PO4-2
SO4-2

-        Pepsin
-        Gastric lipase
-        Mucus
-        Intrinsic factor of Castle